Which of the following does not result in the release of NO?
1. Fenoldopam
2. Hydralazine
3. Nitroprusside
4. Nitroglycerine

Correct answer: 1. Fenoldopam

Explanation: Ans. (A) Fenoldopam(Ref: KK Sharma 2007/176, 261, 292; Katzung 11th/e p180-181)*Nitric oxide donors include:-Sodium nitroprusside-Organic nitrates-Nitrites-Hydralazine-Propofol-Nebivolol*Fenoldopam is a selective D1 agonist useful in hypertensive emergencies.